Not involved in the stability of ankle joint
1. Deltoid ligament
2. Spring ligament
3. Anterior Talofibular ligament
4. Posterior Talofibular ligament

Correct answer: 2. Spring ligament